Gluconeogenesis occurs in all except :
1. Glycerol
2. Amino acid
3. Lactic acid
4. Palmitate

Correct answer: 4. Palmitate

Explanation: D i.e. Palmitate